The lung disease caused by inhalation of sugarcane dust is known as
1. Byssinosis
2. Bagassosis
3. Pneumoconiosis
4. Asbestosis

Correct answer: 2. Bagassosis

Explanation: Ans. b (Bagasosis) (Ref Text book of PSM by Park 22nd/ 751)Pneumoconiosis is a respiratory illness caused by inhalation of (respirabale dust) dust particles of 0.5 to 3 micron.0ByssinosisBy inhalation of cotton fibres - Monday morning fever is presentBagassosisBy inhalation of sugar cane dust - organism - Thermoactinomyces sacchariAsbestosisBy inhalation of asbestos - X-ray - ground glass appearanceSilicosisBy inhalation of silica particles- X-ray - snow storm appearanceFarmer's lungBy inhalation of hay or grain dust - organism - micropolyspora faeniFew more:Immune complex disease (type III = Arthus reaction)Responsible Specific antigensFarmer's lung from moldy hayThermoactinomyces vulgaris or Micropolyspora faeniHypersensitivity pneumonitis from forced-air equipment = Pandora's pneumonitis with heating/humidifying/ air conditioning systemsThermophilic actinomycetesBird-fancier's lung, pigeon breeder's lung from protein in bird serum/excrements/feathers--Mushroom worker's lung from mushroom compostThermoactinomyces vulgaris or Micropolyspora faeniBagassosis from moldy sugar cane in sugar mill contaminationThermoactinomyces sacchari/vulgaris and Micropolyspora faeniMalt worker's lung from malt dustAspergillus clavatusMaple bark disease from moldy maple bark in saw millCryptostroma corticaleSuberosis from moldy cork dustPenicillium frequentansSequoiosis from redwood dustGraphium species